A 50 year old female patient complains of weakness and pain in back. Patient gives history of recurrent infections. Lab investigation reveals presence of Bence Jones proteins in urine. This condition results in  the overproduction of  abnormal immunoglobulins which are mostly?
1. IgG
2. IgM
3. IgA
4. IgD

Correct answer: 1. IgG

Explanation: Multiple myeloma is due to the malignancy of a single clone of plasma cells in  the bone marrow. This results in the overproduction of  abnormal immunoglobulins, mostly (75%) IgG and in some cases (25%) IgA or IgM. In about 20% of the patients of multiple myeloma, Bence Jones proteins are excreted in urine which often damages the renal tubules.
Satyanarayana- Biochemistry, 3rd edition, pg-190